Sudden severe hemorrhage in a normal person causes all except:
1. Reticulocytosis
2. Low red cell mass
3. Low MCV
4. Thrombocytosis

Correct answer: 3. Low MCV

Explanation: Acute post haemorrhagic anaemia Condition in which a person quickly loses a large volume of circulating hemoglobin. Acute blood loss is usually associated with an incident of trauma or a severe injury resulting in a large loss of blood. It can also occur during or after a surgical procedure Plasma volume and red cell mass are reduced in proportional amounts Platelet count increases Neutrophilic leukocytosis Anaemia following acute haemorrhage Reticulocytosis Polychromasia Macrocytosis Transient increase in MCV